Tricyclic antidepressant are contraindicated in:
1. Glaucoma
2. Brain tumor
3. Bronchial asthma
4. Hypertension

Correct answer: 1. Glaucoma

Explanation: Due to anticholinergic action, TCAs should be avoided in glaucoma These agents block muscarinic acetylcholine receptors, resulting in anticholinergic effects (e.g., dry mouth, blurred vision, urine retention, constipation); they are contraindicated in patients with glaucoma.